Repeatability of test refers to -
1. Same results on repeated trials
2. Precision
3. Consistent results
4. All of the above

Correct answer: 4. All of the above

Explanation: Ans. is 'd' i.e., All of the above Repeatability (reliability)o Repeatability means, the test must give consistent results when it is repeated more than once on the same individual under same conditions.o That means the results of test are precise I exact!. So repeatability is some time called precision, reliability or reproducibility.